The most common complication of hypermature sclerotic cataract is
1. Dislocation of the lens
2. Phacomorphic glaucoma
3. Uveitis
4. Neovascularization of retina

Correct answer: 1. Dislocation of the lens

Explanation: Subluxation of the lens is the most common complication of nuclear sclerotic hypermature cataract refer Khurana 6th edition page number 184